Visual field defect seen in Optic chiasma damage is
1. Bitemporal hemianopia
2. Pie in the floor (inferior Quadrantanopia)
3. Pie in the sky (superior Quadrantanopia)
4. Binasal Hemianopia

Correct answer: 1. Bitemporal hemianopia

Explanation: Bitemporal Hemianopia Saggital chiasma lesion Bitemporal hemianopia Partial descending optic atrophy Causes *Suprasellar aneurysm *Tumors of pitutory gland *Craniopharyngioma *Suprasellar meningioma